Highest protein content is in
1. Red gram
2. Black gram
3. Soya bean
4. Bengal gram

Correct answer: 3. Soya bean

Explanation: Soya bean is richest among pulses. It contains 43.2 % proteins (other pulses contain 17 - 25 % proteins)
100 gms Soya bean contain 43 gms proteins, 20 gms fat and 4 gms minerals
Limiting amino acid in soya bean is methionine
NPU of soya bean is 55.
Soyabean also has higher fats, calcium, iron, vitamin B1/B2/B3 than other pulses.